Which of the following about cholera is true -
1. Invasive
2. Endotoxin is released
3. Recent infections in india are of classical type
4. Vibriocidal antibody titre measures prevalence

Correct answer: 4. Vibriocidal antibody titre measures prevalence